Patient come with a midline swelling in the neck measuring 2cms in size On H P E it shows orphan annie eye nuclei Most likely diagnosis
1. Papillary thyroid ca
2. medullary thyroid ca
3. Toxic nodular goitre
4. Follicular thyroid Ca

Correct answer: 1. Papillary thyroid ca

Explanation: Orphan Annie eyed nuclei are characteristic histopathological feature of PTC ref : bailey and love 27th ed